Which one of the following drugs is most likely to be associated with elevations of pancreatic enzymes, including amylase and lipase?
1. Erythromycin
2. Didanosine
3. Isoniazid
4. Azidothymidine

Correct answer: 2. Didanosine

Explanation: Pancreatic dysfunction, heralded by large increases in serum amylase and lipase, is associated with the use of several reverse-transcriptase inhibitors (RTIs). Didanosine appears to be the worst offender, and pancreatitis is the most characteristic adverse effect of this particular NRTI. Conditions enhancing susceptibility to drug induced pancreatic dysfunction include hypertriglyceridemia, hypercalcemia, and history of excessive ethanol use. Liver dysfunction including hepatitis may occur with the antitubercular drugs, isoniazid, and pyrazinamide. Cholestasis is associated with the estolate form of erythromycin.